Which of the following eicosanoids cause vasoconstriction as well as increase vascular permeability?
1. Prostacyclin
2. Thromboxane A2
3. PGE1
4. Leukotriene C4

Correct answer: 4. Leukotriene C4

Explanation: Principal Inflammatory Actions of Arachidonic Acid Metabolites (Eicosanoids) ACTION EICOSANOIDS Vasodilation PGI2 (prostacyclin), PGE1, PGE2, PGD2 Vasoconstriction Thromboxane A2, leukotrienes C4, D4, E4 Increased vascular permeability Leukotrienes C4, D4, E4 Ref: Robbins 8th edition Chapter 2.